Prolonged retention is usually needed in
1. Diastema
2. Mild crowding
3. Anterior cross bite
4. Deep bite

Correct answer: 1. Diastema